Energy requirement in late pregnancy for a moderate worker is
1. 1000 cal
2. 1400 cal
3. 2500 cal
4. 500 cal

Correct answer: 3. 2500 cal